Extrinsic allergic alveolitis is caused by infection with
1. Histoplasma capsulatum
2. Thermophilic Actinomycetes
3. Rhinosporidium seeberi
4. Cryptococcus pneumoniae

Correct answer: 2. Thermophilic Actinomycetes